All are true regarding Lupus anticoagulant,except -
1. Increased abortions
2. Arterial thrombosis
3. Rashes
4. Increased PT

Correct answer: 4. Increased PT